Acute non-suppurative sialdenitis is seen in:
1. Acute bacterial sialadenitis
2. Mumps
3. Chronic bacterial sialadenitis
4. Necrotizing sialometaplasia

Correct answer: 2. Mumps